Regarding Kawasaki disease all are true EXCEPT
1. Cervical lymph node enlargement is the least common among diagnostic criteria
2. Conjunctival ingestion is last to disappear among the diagnostic criteria
3. Coronary artery involvement is less common in infants
4. Atypical Kawasaki is more prone for cardiac involvement

Correct answer: 3. Coronary artery involvement is less common in infants

Explanation: (C) Coronary artery involvement is less common in infants # KAWASAKI DISEASE: Keratic precipitates (detectable by a slit lamp but usually too small to be seen by the unaided eye), and swollen lymph nodes may also be present and can be the first manifestation of the disease. Bilateral, non-exudative conjunctivitis with perilimbal sparing - "conjunctival injection. The cardiac complications are the most important aspect of the disease. Kawasaki disease can cause vasculitic changes (inflammation of blood vessels) in the coronary arteries and subsequent coronary artery aneurysms. These aneurysms can lead to myocardial infarction (heart attack) even in young children. Overall, about 10-18% of children with Kawasaki disease develop coronary artery aneurysms with much higher prevalence among patients who are not treated early in the course of illness. Kawasaki disease and rheumatic fever are the most common causes of acquired heart disease among children in the United States. Babies less than six months old are most at risk of developing AKD, along with potentially life-threatening damaged coronary arteries. Therefore, treatment is essential when prolonged fever accompanies even just one symptom of Kawasaki disease. Atypical Kawasaki disease (AKD) occurs when a child demonstrates fewer than four of the five diagnostic signs of classic Kawasaki disease (CKD). The subtype is also called incomplete Kawasaki disease.